Km remains the same and Vmax is reduced. What is the type of Enzyme inhibition?
1. Competitive Inhibition
2. Noncompetitive Inhibition
3. Uncompetitive inhibition
4. Suicide Inhibition

Correct answer: 2. Noncompetitive Inhibition

Explanation: Noncompetitive Inhibition
A type of inhibition in which the inhibitor bind to a site distinct from the substrate binding site. Two different types are:

Reversible Noncompetitive Inhibition (Only few Noncompetitive inhibition are reversible)
Irreversible Noncompetitive Inhibition (Most of Noncompetitive are irreversible).